Which of the following is Initial Tooth Preparation stage?
1. External wall finishing
2. Pulp protection
3. Convenience form
4. Debridement and inspection

Correct answer: 3. Convenience form

Explanation: Initial Tooth Preparation Stage

Step 1: Initial depth and outline form.
Step 2: Primary resistance form.
Step 3: Primary retention form.
Step 4: Convenience form.

Final Tooth Preparation Stage

Step 5: Removal of defective restorative material and/or soft dentin.
Step 6: Pulp protection.
Step 7: Secondary resistance and retention forms.
Step 8: External wall finishing.
Step 9: Final procedures: debridement and inspection.

 
Reference: Sturdevant operative dentistry 7th edition, Page No:125